Which of the following causes hypocalcemia:
1. Parathormone
2. Thyroid hormones
3. Calcitonin
4. 1, 25-dihydroxycholecalciferol

Correct answer: 3. Calcitonin

Explanation: Ans. C: Calcitonin